Which of the following does not stimulate enterogastric reflex?
1. Products of protein digestion in the duodenum
2. Duodenal distension
3. H+ ions bathing duodenal mucosa
4. Cholecystokinin

Correct answer: 4. Cholecystokinin

Explanation: Enterogastric reflex: signals from the colon and small intestine to inhibit stomach motility and stomach secretion.The types of factors that are continually monitored in the duodenum and can initiate enterogastric inhibitory reflexes include the following:1. Distention of the duodenum2. The presence of any irritation of the duodenal mucosa3. The acidity of the duodenal chyme4. The osmolality of the chyme5. The presence of certain breakdown products in the chyme, especially breakdown products of proteins and, perhaps to a lesser extent, of fatsRef: Guyton; 13th edition; Chapter 64; Propulsion and Mixing of Food in the Alimentary Tract